Which of the following is not true about tabes Dorsalis -
1. Seen in Neurosyphiilis
2. Deep tendon reflexes are brisk
3. Loss of vibration sense
4. Acute abdominal pain and visceral symptoms

Correct answer: 2. Deep tendon reflexes are brisk

Explanation: Ans. is 'b' i.e., Deep tendon reflexes are brisk Tabes dorsaliso Usually develops 15 - 20 years after syphilis infectiono Major symptoms are- lightning pain, ataxia, urinary' incontinenceLightning paino Lightning or lancinating pain are sharp stabbing pain and brief like a flash of lightning.o More common in legs.o Are associated invariably with impairment of tactile pain and thermal sensation.Urinary incontinenceo Bladder is insensitive and hypotonic resulting in unpredictable overflow incontinenceo Sometimes constipation, megacolon as well as impotence can occurAtaxiao Purely sensory ataxiao Charcoat joints and trophic ulcers can occurPathology:There is involvement of:o Involvement of posterior root of lumbosacral regiono Posterior column involvedo Dorsal root gangliaNow, it is believed that inflammation is present all along the posterior root where as the dorsal ganglion cell los and posterior column degeneration are secondaryClinicopathological correlationClinical featureTract involvedo Hyptonia, areflexia ataxia-Destruction of proprioceptive fibres in sensory root gangliao Bladder involvement-Posterior root involvement of lumbosacral regiono Lightning pains-Incomplete posterior root lesions at different levelso Analgesia and joint insensitivity-Partial loss of A and C fibres in the root.